At what time of the day GH levels are highest:
1. 2 hours after sleep
2. 2 hours before sleep
3. Evening
4. Early morning

Correct answer: 1. 2 hours after sleep

Explanation: Ans. A: 2 hours after sleepGH is synthesized and secreted from the anterior pituitary gland in a pulsatile manner throughout the day; surges of secretion occur at 3- to 5-hour intervals. The largest and most predictable of these GH peaks occurs about 2 hours of deep sleep, otherwise there is wide variation between days and individuals.